Modes of death are all except -
1. Syncope
2. Coma
3. Asphyxia
4. Shock/molecular death

Correct answer: 4. Shock/molecular death

Explanation: Modes of death are coma, syncope and asphyxia whereas molecular death is a type of death. Dr. Narayana Reddys Synopsis of Forensic Medicine & Toxicology 27th edition pg.66,67